At the end of isovolumetric relaxation phase
1. Atrioventricular valve opens
2. Atrioventricular valve close
3. Corresponds to peak of C wave in JVP
4. Corresponds to T wave in ECG

Correct answer: 1. Atrioventricular valve opens